Acute paronychia is treated by
1. Incision and drainage
2. Lifting the paronychium
3. Partial nail excision
4. Total nail excision

Correct answer: 1. Incision and drainage

Explanation: Acute paronychiaM/C hand infection.Due to inappropriate nail trimming or skin picking near nail foldAfter initial inflammation, pus accumulates beside the nailIt's removed by I&D technique with or without the excision of outer quarter of the nail.(Refer: Bailey and Love's Short Practice of Surgery, 26th edition, pg no: 507)